Hockey-stick appearance in echocardiography is a feature of?
1. Mitral stenosis
2. Mitral incompetence
3. Aortic stenosis
4. Aortic regurgitation

Correct answer: 1. Mitral stenosis

Explanation: HOCKEY STICK SIGNS ECG Digoxin effect Echocardiography Mitral stenosis. Normal, biphasic, and rapid motion of the mitral valve is altered because it opens only partly and as a single unit. The posterior leaflet becomes immobile and the anterior mitral leaflet tethering results in a "hockey stick" appearance. These changes obstructs the blood flow from the atrium to the ventricle MRI Brain Hockey-stick sign of v CJD FLAIR image shows symmetrical pulvinar and dorsomedial thalamic nuclear hyperintensity. This combination gives a characteristic "hockey-stick"appearance.